Lhermitte duclos disease true is -
1. Thickened cerebeller folli
2. Atrophic cerebeller folli
3. Vermian hypoplasia
4. Septum pelluidumagenesis

Correct answer: 1. Thickened cerebeller folli